In rheumatic heart disease, infective endocarditis is detected by echocardiogram and the largest vegetations seen are due to-
1. Streptococcus viridans
2. Staphylococcus aureus
3. Candida albicans
4. Salmonella typhi

Correct answer: 3. Candida albicans